In Jarjaway fracture of nasal bone, the fracture line is-
1. Oblique
2. Comminuted
3. Vertical
4. Horizontal

Correct answer: 4. Horizontal

Explanation: The fracture line is horizontal.